Which of the following is example of Non-random sampling
1. Probability sampling
2. Non-purposive sampling
3. Cluster random sampling
4. Clinical trial sampling

Correct answer: 4. Clinical trial sampling

Explanation: Examples of Non-random (Non-probability sampling/ Purposive sampling) sampling: Convenience sampling Quota sampling Snow ball sampling Clinical trial sampling